Which of the following is not a group A bioterrorism agent -
1. Small pox
2. Hemorrhagic fever
3. Salmonella
4. Botulism

Correct answer: 3. Salmonella

Explanation: Salmonella belongs to CDC category B.